Lithium toxicity is treated by following methods EXCEPT:
1. Acidification of urine
2. Increased hydration
3. Sodium bicarbonate
4. Hemodialysis

Correct answer: 1. Acidification of urine

Explanation: Ans. A i.e. Acidification of urine